Treatment choice in severe dehydration is-
1. DNS 5%
2. Normal saline
3. DNS 10%
4. Ringer lactate

Correct answer: 4. Ringer lactate

Explanation: Ans. is 'd' i.e., Ringer lactate Fluids used in severe dehydration* Best IV fluid for severe dehydration is Ringer's lactate.* An ideal preparation would be Ringer's lactate with 5% added dextrose, However, it is not available.* If Ringer's lactate is not available, normal saline solution (0.9% NaCl) can be used.